Maximum energy is provided by ?
1. Cow milk
2. Human milk
3. Goat milk
4. Buffalo milk

Correct answer: 4. Buffalo milk

Explanation: Ans. is `d' i.e., Buffalo milk Fat content of milk: Buffalo > Goat > Cow > Human Protein content of milk: Buffalo > Goat > Cow > Human Lactose content of milk: Human > Buffalo > Goat > Cow Energy content of milk: Buffalo > Goat > Cow > Human